Peribulbar injection is given in:
1. Subtenon space
2. Muscle case
3. Periorbital space
4. Subperiorbital space

Correct answer: 3. Periorbital space

Explanation: C i.e. Periorbital space Peribulbar injection is given in peripheral orbital space Q